Nutrient which is lost maximum in polished rice?
1. Proteins
2. Thiamine
3. Ascorbic acid
4. Calcitriol

Correct answer: 2. Thiamine

Explanation: Ans. is 'b' i.e., Thiamine Effect of milling on rice The milling process deprives the rice grain of its valuable nutritive elements